A 40-year-old woman is suspected of having a carotid body tumor. Which one of the following is most characteristic of such a tumor?Carotid body tumor
1. They secrete catecholamines.
2. They are more common at sea level.
3. They arise from structures that respond to changes in blood volume.
4. They arise from the structures that respond to changes in PO2.

Correct answer: 4. They arise from the structures that respond to changes in PO2.

Explanation: Carotid body tumor is the most common type of paraganglioma in the head and neck region, followed by the glomus jugular tumor. Carotid body tumor grows slowly, rarely metastasizes, and may secrete catecholamines. The tumor usually is supplied by the external carotid artery, and dissection to remove it off the carotid bifurcation may be difficult and cause bleeding. Malignancy occurs in 6% of patients.